Edema of hands & feet in infants is characterised
1. Klinefelter's syndrome
2. Noonam syndrome
3. Turners syndrome
4. Fragile x syndrome

Correct answer: 3. Turners syndrome

Explanation: Edema of hands and feet is associated with turner syndrome. Turner syndrome is identifiable at birth by presence of LYMPHEDEMA ,cystic hygroma and left sided obstructive cardiac lesions. Reference : Ghai TB of pediatrics 8th edition pg 537.